All are liver glycogenosis except –
1. Von Girke disease
2. Hers disease
3. Type III glycogenosis
4. Pompes disease

Correct answer: 4. Pompes disease